Which is the EEG wave recorded in a subject who is awake but eyes closed?
1. Alpha waves
2. Beta waves
3. Theta waves
4. Delta waves

Correct answer: 1. Alpha waves

Explanation: Alpha waves are recorded best in the parieto-occipital region in adults at rest, i.e., awake but relaxed with eyes closed. EEG Waves Frequency (in HZ) Amplitude (in mV) Location where it is best-recorded Alpha Rhythm 8-13 50-100 Parieto-occipital regions Beta Rhythm 13-30 5-10 Frontal region Theta Waves 4-8 <200 Parietal and temporal regions in children Delta Waves 0.5-4 20-200 (large amplitude) Occipito-temporal Ref: Ganong's Review of Medical Physiology 25th edition Pgno: 272-273